Hypnogogic hallucination is
1. If experienced while falling asleep
2. If experienced while awakening
3. After head trauma
4. After convulsion

Correct answer: 1. If experienced while falling asleep

Explanation: HYPNOGOGIC HALLUCINATION Hallucination while the person going to sleep * NARCOLEPSY * Cataplexy ( loss of muscle tone) * Hynogogic hallucination * Hynopompic hallucination * Sleep paralysis * Excessive day time sleepiness * Strong emotions can trigger cataplexy * ETIOLOGY======HYPOCRETIN DEFICIENCY in LATERAL HPOTHALAMUS * TREATMENT=====MODAFINIL AND psychostimulants MOST REPEATED ONE WORD NARCOLEPSY HAS CATAPLEXY (sudden loss of tone and falls to sleep) CATATONIA HAS CATALEPSY (abnormal postures) Ref. kaplon and sadock, synopsis of psychiatry, 11 th edition, page no.194